The common primary tumor of heart is-
1. Rhabdomyoma
2. Fibroma
3. Myxoma
4. Lipoma

Correct answer: 3. Myxoma

Explanation: Primary cardiac tumors are uncommon; moreover, most also are (fortunately) benign. The five most common have no malignant potential and account for 80% to 90% of all primary heart tumors. In descending order of frequency, these are myxomas, fibromas, lipomas, papillary fibroelastomas, and rhabdomyomas. Angiosarcomas constitute the most common primary malignant tumor of the heart. Myxomas are the most common primary tumors of the adult heart . Roughly 90% are atrial, with the left atrium accounting for 80% of those. (Robbins Basic pathology,9th edition.pg no.404)